All of the following are absolute contraindications for IUCD insertion, except :
1. Pelvic infection
2. Pregnancy
3. Undiagnosed abnormal vaginal bleeding
4. Valvular heart disease

Correct answer: 4. Valvular heart disease

Explanation: Valvular heart disease